Analgesic effect of paracetamol is mediated by action on which of the following receptor?
1. NK 1
2. BK 1
3. Px23
4. TRPV 1

Correct answer: 4. TRPV 1

Explanation: PCM uses - Fever Pain Not for inflammation Peroxide:- Presence of peroxide at inflammation site inactivate PCM. COX3 inhibitor :- Presence of COX3 in brain, therefore fever and pain can be treated with PCM. Vanilloid receptor:-Metabolites of PCM binds with vanilloid receptor to produce analgesia. Transient Receptor Potential vanilloid 1:TRPV 1